Sausage finger appearance is seen in -
1. Psoriatic arthritis
2. Rickets
3. Hyperthyroidism
4. Addison's disease

Correct answer: 1. Psoriatic arthritis

Explanation: Ans. is 'a' i.e., Psoriatic arthritis o The term sausage digit refers to the clinical and radiologic appearance of diffuse fusiform swelling of a digit due to soft-tissue inflammation from underlying arthritis or dactylitis.o The common causes of sausage digit are:1) Psoriatic arthropathy.2) Osteomyelitis.3) Ankylosing spondylitis4) Sickle cell disease5) Tuberculosis6) Leprosy